All are symptoms of hyperglycaemia in a diabetic patient except
1. Polyuria
2. Weight gain
3. Fatigue
4. Recurrent skin infections

Correct answer: 2. Weight gain

Explanation: Symptoms of hyperglycemia include polyuria, polydipsia, weight loss, fatigue, weakness, blurry vision, frequent superficial infections (vaginitis, fungal skin infections), and slow healing of skin lesions after minor trauma. Metabolic derangements relate mostly to hyperglycemia (osmotic diuresis) and to the catabolic state of the patient (urinary loss of glucose and calories, muscle breakdown due to protein degradation and decreased protein synthesis). Blurred vision results from changes in the water content of the lens and resolves as the hyperglycemia is controlled.Ref: Harrison 19e pg: 2406